All of the following factors influence hemoglobin dissociation curve, except:
1. Chloride ion concentration
2. CO2 tension
3. Temperature
4. 2-3 DPG levels

Correct answer: 1. Chloride ion concentration

Explanation: Ans. is 'a' i.e. Chloride ion concentration Three conditions affect the oxygen-hemoglobin dissociation curve, the pH, the temperature, and the concentration of 2, 3-biophosphoglycerate.CO2 tension (PCO2) affects the pH of blood and hence the 02-Hb dissociation curve.Shift of Q2-Hb dissociation curveFactorsShift to RightShift to leftpH||temperature||2, 3 DPG cone.||PCO2||